Deficiency of which of the following micronutrient results in Menkes syndrome
1. Magnesium
2. Copper
3. Selenium
4. Manganese

Correct answer: 2. Copper

Explanation: Menkes syndrome, characterized by kinky hair and growth retardation, reflects a dietary deficiency of the copper required by lysyl oxidase, which catalyzes a key step in the formation of the covalent cross-links that strengthen collagen fibers.Ref: Harper's Biochemistry; 30th edition; Chapter 5; Proteins: Higher Orders of Structure